Opiod induced respiratory depression can be reversed with
1. Naloxone
2. Theophylline
3. Artificial ventillation
4. Doxapram

Correct answer: 1. Naloxone

Explanation: Ans: A (Naloxone) Ref: Goodman &Gillman's The Pharmacological Basis of Therapeutics, 2011, 12'h Edition, McGrow Hill, Burton LL P519- 520Explanation:Naloxone is the treatment of choice in the reversal of respiratory depression due to opioids.Naloxone has to be diluted and slowly administered intravenously to avoid withdrawal in opioid dependent patientsMonitoring of arousal and respiratory function are essential during this treatmentRestoration of respiration without naloxone therapy may still results in death of the patient due to complication that develop during comaNoncardiogenic pulmonary edema that develops during opioid poisoning can be reversed by positive pressure ventilation